Community development programme was launched in:
1. 1951
2. 1952
3. 1953
4. 1954

Correct answer: 2. 1952

Explanation: Ans: b (1952) Ref: Park, 19th ed, p. 733Community Development Programme was launched on 2nd October 1952 for the all round development of rural areas.80% of India's population is in rural areas.Under Community Development Programme(CDP) the rural areas in India have been organized into community development blocks.Each block comprising approximately 100 villages and a population of one lakh.Ther are about 6000 CDBs in the country, each block is headed by a block development officer.Over the years CD block has emerged as a permanent unit of rural planning and development.